Ochronosis is caused by
1. Tyrosinemia Type I
2. Maple syrup urine disease
3. Alkaptonuria
4. Phenylketonuria

Correct answer: 3. Alkaptonuria

Explanation: In Alkaptonuria there is defect in catabolism of Tyrosine and Phenylalanine Enzyme deficient-Homogentisate Dioxygenase Homogentisic acid is an intermediate in the catabolism of Tyrosine Deposition of black pigments (polymerization of Homogentisic acid occurring in body over years) in joints, cartilage and collagenous tissue is known as Ochronosis. DEPOSITION OF BLACK PIGMENTS